A  small  nodule  of well-developed  and  normally  organized  pancreatic tissue found in the submucosa of the small intestine is an example of __________.
1. Choristoma
2. Hamartoma
3. Teratoma
4. Papilloma

Correct answer: 1. Choristoma

Explanation: Choristoma is a congenital anomaly consisting of a heterotopic nest of cells. For example, a small nodule of well-developed and normally organized pancreatic tissue may be found in the submucosa of the stomach, duodenum, or small intestine.
Hamartoma is a mass of disorganized tissue indigenous to the particular site, such as the lung or the liver. While traditionally considered developmental malformations, many hamartomas have clonal chromosomal aberrations that are acquired through somatic mutations and on this basis are now considered to be neoplastic.
Teratoma is a special type of mixed tumor that contains recognizable mature or immature cells or tissues derived from more than one germ cell layer, and sometimes all three.
Reference-Robbins BASIC PATHOLOGY 10th edition pg-191